The main enzyme responsible for activation of xenobiotics is -
1. Cytochrome P-450
2. Glutathione S-transferase
3. NADPH cytochrome P-450-reductase
4. Glucuronyl transferase

Correct answer: 1. Cytochrome P-450

Explanation: Most important reaction in biotransformation of xenobiotics is oxidation reaction. The most important enzyme for oxidation reactions is cytochrome P450.